Pectinate line is an important landmark because:
1. It Marks a divide in nerve supply
2. It Marks the location of change in type of epithelium
3. It Represents a lymphatic and venous divide
4. All of the above

Correct answer: 4. All of the above

Explanation: The pectinate line (anorectal junction) is an important landmark in that it divides the anal canal into upper and lower portions. Developmentally, the pectinate line is the junction between the development of the hindgut (gut tube) and the proctodeum (body wall). The pectineal line is an important anatomic landmark in that it distinguishes the vascular, nerve, and lymphatic supplies. Superior to the pectinate line:The vascular supply is from the superior and middle rectal arteries and veins. Visceral motor and sensory innervation is the inferior hypogastric plexus. Lymph drainage is to the internal iliac, inferior mesenteric, and pararectal lymph nodes. The epithelium is simple columnar, as is the remainder of the small and large intestines, which reflects the endodermal origin of this part of the anal canal.Inferior to the pectineal line. The vascular supply is from the inferior rectal arteries and veins. Somatic motor and sensory innervation is the inferior rectal nerves. Lymph drainage is to the superficial inguinal lymph nodes. The epithelium is stratified squamous keratinized epithelium, similar to the skin, which reflects the ectodermal origin of this part of the anal canal.Ref: Morton D.A., Foreman K.B., Albertine K.H. (2011). Chapter 12. Pelvis and Perineum. In D.A. Morton, K.B. Foreman, K.H. Albertine (Eds), The Big Picture: Gross Anatomy.